Nasopharyngeal angiofibroma of stage II is treated with
1. Radiotherapy
2. Chemotherapy
3. Concurrent chemo-Radiation
4. Surgery

Correct answer: 4. Surgery